Prolactin is inhibited by
1. Dopamine
2. Neurophysin
3. Sertonin
4. Glutamate

Correct answer: 1. Dopamine

Explanation: (A) Dopamine# PITUITARY PROLACTIN secretion is regulated by endocrine neurons in the hypothalamus, the most important ones being the neurosecretory tuberoinfundibulum neurons of the arcuate nucleus, which secrete dopamine to act on the D2 receptors of lactotrophs, causing inhibition of prolactin secretion. Thyrotropin-releasing factor has a stimulatory effect on prolactin release.